Fundus of patient with disseminated TB shows.
1. Choroid tubercles
2. Optic atrophy
3. Papilledema
4. Macular edema

Correct answer: 1. Choroid tubercles

Explanation: Ans. (a) Choroid tubercles.Choroid tubercles occur in cases of disseminated tuberculosis and are highly specific for diagnosis of miliary tuberculosis.These are found especially in tubercular meningitis usually as a late event. Ophthalmoscopically they appear as round pale yellow spots usually near optic disk.